A female with depression is resistant to antidepressants. Cognitive therapy for depression was developed by:
1. Ellis
2. Beck
3. Godfrey
4. Meicheinbanon

Correct answer: 2. Beck

Explanation: Cognitive behavioral therapy (CBT), a structured psychotherapeutic strategy, is an effective alternative to pharmacotherapy in the initial treatment of depression, developed by American psychiatrist Aaron T. Beck. Ref: Josephson S.A. . "Cognitive Behavioral Therapy an Effective Adjunct to Medications in Treatment-Resistant Depression" (update). In D.L. Longo, A.S. Fauci, D.L. Kasper, S.L. Hauser, J.L. Jameson, J. Loscalzo (Eds), Harrison's Principles of Internal Medicine, 18e.